A case of 35 week pregnancy with hydromnios and marked respiratory distress is best treated by:
1. Intravenous frusemide
2. Saline infusion
3. Amniocentesis
4. Artificial rupture of membranes

Correct answer: 3. Amniocentesis

Explanation: As the patient has respiratory distress and the gestational age is 35 weeks -fetal maturity has not acquired our main aim is to relieve the distress continuing the pregnancy to atleast 37 weeks. This can be achieved by Amniocentesis - drainage of good amount of liquor. Ref:Dutta Obs 9e pg 203.